Hyperinflation of lungs is prevented by-
1. Hering Breuer reflex
2. Irritation reflex
3. Cushing reflex
4. Bainbridge reflex

Correct answer: 1. Hering Breuer reflex

Explanation: Ans. is 'a' i.e., Hering Breuer reflexo Hering-Breuer inflation reflex : This reflex is mediated by pulmonary stretch receptors in w hich inflation of lungs above a particular volume results in reflex inhibition of inspiration and initiation of expiration. The reflex tends to limit the tidal volume while increasing the respiratory frequency.o Hering-Breuer deflation reflex : - Rapid deflation of lungs tends to initiate prolonged inspiration, i.e., reflex hyperpnea in response to deflation.NameLocationStimulationAfferentResponseBaroreceptorsArterialCarotid sinus-9th nerve Aortic arch-1 Oth nerve|BPAff.-9th 10th NTS Eff.-Buffer n.|Sympathetic vasoconstrictor tone |Sympathetic discharge to heart |Parasympathetic discharge to heartCentral venous pressure receptorLt. atrium Pulmonary veins wall of great veins (SVC/Jugular veins) 10th nerve ChemoreceptorsCentralMedullaCO; HyperventilationPeripheralCarotid & Aortic bodyHemorrhage Hypoxia Hypercapnia acidosisStimulates VMCPeripheral Vasoconstriction |CO,|THR,|BPBainbridge ReflexesRt. atrium/vena cavaeRapid infusion of blood'saline (atrial distension) reflex tachycardiaBezold-Jariseh/ Coronary ChemoreflexLt. VentricleInj. of 5-HT, Veratrum Capsaicin, Nicotine in coronary artery Apnea, |-BP, |HR Tachypnea later onJ. Reflex/Pulmonary chemoreflexJuxtacapillary in walls of alveoli. C-fibresHyperinflation of lung (normal inspiration) -do-Cushing ReflexVMC|ICT | in blood supply ot VMC | systemic BP reflex | in HRHering Breuer Reflex-Inflation -DeflationAirway SM cellsSteady Lung inflation Mark deflation of lung| expiration | expiration